HACEK group includes all except:
1. H.paraphrophilus
2. Acinetobacter baumanii
3. Eikenella corrodens
4. Kingella Kingae

Correct answer: 2. Acinetobacter baumanii

Explanation: H - Hemophilus species
A - Aggregatibacter (actinobacillus)
C - Cardiobacterium
E - Eikenella corrodens
K - Kingella Kingae